The latest AHA 2010 for CPCR in basic life support by two individuals for cardiac external massage & ventilation in adult is?
1. 30-2
2. 15-1
3. 15-2
4. 30-1

Correct answer: 1. 30-2

Explanation: Ans. is 'a' i.e., 30-2